Rural health scheme introduced by
1. Bhore committee
2. Mukherjee committee
3. Srivastava committee
4. Mudaliar committee

Correct answer: 3. Srivastava committee

Explanation: Rural health scheme 1977The most important recommendation of the shrivastav committee was that primary health care should be provided within the community itself through specially trained workers so that the health of the people is placed in the hands of the people themselves. Ref: Park; 23rd ed; Pg 875